Aspirin produces all of the following effects except
1. Frank gastric bleeding
2. Prolonged prothrombin time
3. Platelet dysfunction
4. Constipation

Correct answer: 4. Constipation